Lambda phage which of the following is true ?
1. It causes mad cow disease
2. Lysogenic to lytic conversion cannnot occur
3. Lysogenic form incorporates in host DNA & remain dormant
4. Lytic phase incorporates in host DNA, proliferate & causes rupture of cell

Correct answer: 3. Lysogenic form incorporates in host DNA & remain dormant

Explanation: Ans. is 'c' i.e., lysogenic form incorporates in host DNA and remain dormant . Lambda phase is nothing else but prototype of bacteriophage. . It has already been explained in previous explaination that lysogenic form is incorporated into the host genome ( not in lytic phase). In lytic phase,there is replication of phage inside the bacteria that causes lysis of bacteria. . On exposure to ultraviolet light or other agents the lysogenic phase undergoes induction i.e., the phase DNA is excised from the host cell and it undergoes lytic cycle.